Which of the following organism can penetrate normal intact cornea?
1. Staphylococcus
2. Streptococcus
3. Gonococcus
4. Pneumococcus

Correct answer: 3. Gonococcus

Explanation: Ans. c (Gonococcus). (Ref: Parson's Disease of eye, 18th ed., 148; Ophthalmology by AK Khurana 2nd ed. 116)Three pathogens can invade the intact corneal epithelium and produce ulceration:# Neisseria gonorrhoea,# CorynebUcterium diptheriae# Neisseria meningitidesEducational points:Disease/causeTime of appearance1Toxic irritation due to Crede prophylaxis (1% silver nitrate)A few hours after application of drops2Gonoblennorhea/intrapartum infection with Neisseria gonorrhoeae1-4 days postpartum3Other intrapartum infection with bacteria (e.g., Streptococcus pneumoniae, Haemophilus influenzae, staphylococci, Pseudomonas aeruginosa, etc.)5-7 days postpartum4Intrapartum infection with herpes simplex virus (HSV)4-6 days postpartum5Intrapartum infection with Chlamydia trachomatis4-15 (usually 7 - 10) days postpartum